Orthognathic decompensation is done:
1. Is done at the time of surgery
2. Is done before the surgery
3. Is done after the surgery
4. Nature itself decom pensate or dental compensation

Correct answer: 2. Is done before the surgery